Hyoid bone is closely associated with
1. Ludwig's angina
2. Thyroglossal cyst
3. Branchial cyst
4. Cystic hygroma

Correct answer: 2. Thyroglossal cyst

Explanation: Hyoid bone is closely associated with the thyroglossal tract from which thyroglossal cyst & fistula originate, thus during surgical excision of the thyroglossal cyst or fistula, the central part of the hyoid bone is excised (otherwise recurrence may occur). Ref : Bailey Love 25/e p730